Liver enzyme showing liver obstruction?
1. ALP
2. AST
3. ALT
4. Aminotransferase

Correct answer: 1. ALP

Explanation: There are 4 isoenzymes for ALP enzyme 1. ALP-I - Intestinal 2. ALP-L- tissue non-specific present mainly in Liver, bone and kidneys 3. ALP-P- Placental Iso enzyme present also called as Regan isoenzyme increased during pregnancy. 4. GC type (Germ cell type) -Present in Germ cell Increased ALP levels are seen in 1. Liver disease mainly biliary obstruction, hepatitis, cirrhosis. 2. Bone - Paget's disease, osteoporosis, osteoblastic bone tumor, osteomalacia 3. Hyperthyroidism Decreased ALP is seen in 1. Hypothyroidism 2. Women taking OCPs and estrogen therapy.